Abdominal part of esophagus is supplied by:-
1. Pulmonary trunk
2. Bronchial artery and arch of aorta
3. Right gastric artery and inferior phrenic artery
4. Left gastric artery and inferior phrenic artery

Correct answer: 4. Left gastric artery and inferior phrenic artery

Explanation: Esophagus is a long tube with approximately 25cm in length, have 3 parts - cervical, thoracic and abdominal part. PART OF ESOPHAGUS ARTERY SUPPLY CERVICAL Inferior thyroid artery THORACIC Descending thoracic aorta ABDOMINAL Left gastric and inferior phrenic artery